All except one constitute ABVD regime for chemotherapeutic treatment of Non-Hodgkin's Lymphoma
1. Doxorubicin
2. Dacarbazine
3. Bleomycin
4. Vincristine

Correct answer: 4. Vincristine

Explanation: ABVD ⇒
Adriamycin (Doxorubucin)
Bleomycin
Vinblastine
Dacarbazine.